Following clostridia are saccharolytic except
1. Welchii
2. Sporogenes
3. Septicum
4. Oedematiens

Correct answer: 2. Sporogenes

Explanation: When grown in Robertson cooked meat broth, saccharolytic species turn meat pink and proteolytic species produce black and produce foul and pervasive odours. Clostridium welchii, Clostridium septicum and Clostridium oedematiens are predominantly saccharolytic. Clostridium sporogenes is predominantly proteolytic. Reference: Textbook of Microbiology; Anathanarayan and paniker's; 10th edition; Page no: 258